Most important indicator of malignancy in smooth muscle tumors is:
1. Mitotic index
2. Atypia
3. Necrosis
4. Cellularity

Correct answer: 1. Mitotic index

Explanation: Ans. (a) Mitotic index(Ref: Robbins 9th/pg 1223)Indicator of malignancy in soft tissue tumors (Leiomyosarcoma): Mitotic index Q > Atypia > Necrosis.